The treatment of peptic ulcer involves:
1. Antacids
2. Ranitidine
3. Sucralfate
4. All

Correct answer: 4. All

Explanation: Ans: dRef: Harrison, 16thed, p. 1753